IQ for sever mental retardation -
1. <20
2. 20-35
3. 35-50
4. 50-70

Correct answer: 2. 20-35

Explanation: WHO classification of Mental retardation(MR) mild MR...IQ 50-70 moderate MR ...35-49 severe MR..IQ 20-34 profound MR...IQ under 20 ref; (page no;582) 23rd edition of PARK's textbook of Preventive and Social medicine